About fibrolamellar carcinoma, TRUE is :
1. Diffuse in nature
2. Occurs after 60 years of age
3. Cirrhosis is the most common presenting feature
4. Has better prognosis

Correct answer: 4. Has better prognosis

Explanation: Answer is D (Has better prognosis) Fibrolamellar carcinoma grows slowly and is associated with a longer survival if treated. It has a distinctly better prognosis. Characteristic features of fibrolamellar carcinoma Distinctive variant of Hepatocellular carcinoma Occurs in young adults (20 to 40 years of age) Equal sex incidence (Robbins); More common in females-Chandrasoma Taylor No association with HBV or cirrhosis Well circumscribed mass (localized) Non encapsulated but well circumscribed. Grossly encapsulated -- Chandrasoma Taylor No AFP elevation -Chandrasoma Taylor Better prognosis: Slow growth and longer survival.